Best graft for infra inguinal approach bypass
1. Dacron
2. PTFE
3. Polyester
4. Autologous vein

Correct answer: 4. Autologous vein

Explanation: The great saphenous veins should be used preferentially in all bypasses, especially in those reconstructions using below-knee popliteal and small tibial arteries as the distal target vessels. PTFE grafts can be used for bypasses to above-knee popliteal arterial segments with satisfactory patency rates. Ref: Sabiston 20th edition Pgno: 1774